A person gets infected in a hospital and clinical manifestation appear after he is discharged this is called -
1. Nosocomial infection
2. Opportunistic infection
3. Epizootic infection
4. Physician induced

Correct answer: 1. Nosocomial infection

Explanation: The term hospital infection, hospital - acquired infection or nosocomial infection are applied to infections developing in hospitalized patients, not present or in incubation at the time of their admission.
Such infections may become evident during their stay in hospital or, sometimes, only after their discharge.